Aldosterone is known to cause sodium retention. Its Na+ retaining action is exerted on which part of the nephron ?
1. Proximal convoluted tubule
2. Ascending limb of loop of Henle
3. Collecting ducts
4. Early distal convoluted tubule

Correct answer: 3. Collecting ducts